Which of the following are measures taken in Guinea worm prophylaxis, EXCEPT:
1. Safe drinking water
2. Control of Cyclops
3. Health education
4. Mass treatment with Mebendazole

Correct answer: 4. Mass treatment with Mebendazole

Explanation: Drugs are not suitable for mass treatment. The worms have to be removed manually. There is no known curative medicine or vaccine to prevent Guinea worm disease. The best way to stop Guinea worm disease is to prevent people from entering sources of drinking water with an active infection and to educate households to always use cloth filters to sieve out tiny water fleas carrying infective larvae. Educating communities about Guinea worm prevention is vital to stopping the spread of the disease. Guinea worm disease is set to become the second human disease in history, after smallpox, to be eradicated. It will be the first parasitic disease to be eradicated and the first disease to be eradicated without the use of a vaccine or medical treatment.